Sleep spindles and K-complexes are seen in which stage of sleep?
1. REM
2. Stage 1 NREM
3. Stage 2 NREM
4. Stage 3 NREM

Correct answer: 3. Stage 2 NREM

Explanation: Ans. c. Stage 2 NREM